The modulus of elasticity is defined as:
1. The stress at the proportional Limit
2. The strain at the proportional limit
3. The stress to strain ratio within the proportional limit
4. None of the above

Correct answer: 3. The stress to strain ratio within the proportional limit

Explanation: Modulus OF Elasticity
It is also referred to as 'elastic modulus' or 'Young's modulus'. It represents the relative stiffness or dity of the material within the elastic range. Young's modulus is the ratio of stress to strain. Since stress is proportional to strain (up to the proportional limit), the stress to strain ratio would be constant.
Modulus of elasticity
or
Young's modulus